HMB 45 is a marker for -
1. Sarcoma
2. Melanoma
3. Carcinoma
4. None of the above

Correct answer: 2. Melanoma